True regarding accommodative esotropia is -
1. Glasses are used when miotics ineffective
2. Miotics are used when glasses are ineffective
3. Use of both together salvage patient who does not respond to one
4. Miotics are used in high AC/ A ratio

Correct answer: 4. Miotics are used in high AC/ A ratio

Explanation: Miotics can be tried if the patient has a high AC/A ratio and has minimal hypermetropia. However, bifocal spectaclds are the treatment of choice in this condition.
Other indication for the use of miotics is in children who can not wear spectacles or contact lenses, e.g. during summer months when children are swimming